Pancreatic lipase that digests lipids requires ?
1. Vit B 12
2. Pyridoxine
3. Tocopherol
4. Colipase

Correct answer: 4. Colipase

Explanation: Ans. is 'd' i.e., Colipase Lipase requires colipase which prevents inactivation of lipase by bile salts. For fat digestion, following are required :- Pancreatic lipase, colipase, bile-salts activated lipase, cholesterol ester hydrolase, and phospholipase A2. Trypsin is also involved indirectly as it activates inactive procolipase to active colipase. Lingual lipase and gastric lipase are of very little significance in fat digestion. Bile salts help in fat digestion by : (i) Emulsification of fat and (ii) activating bile salt activated lipase.